The youngest lens fibres are present in:
1. Central core of the lens nucleus
2. Outer layer of the nucleus
3. Deeper layer of the cortex
4. Superficial layer of the cortex

Correct answer: 4. Superficial layer of the cortex

Explanation: Ans. Superficial layer of the cortex